Which of the following is used in the prophylactic treatment of rheumatic heart disease :
1. Ampicillin
2. Penicillin G
3. Benzathine penicillin
4. Phenoxymethylpenicillin

Correct answer: 3. Benzathine penicillin